All are true statement about filaria except -
1. Extrinsic incubation period of 10-14 days
2. Man is the intermediate host
3. Adults live in the lymphatics of host
4. No multiplication in the mosquito

Correct answer: 2. Man is the intermediate host

Explanation: - Man is the definitive host and mosquito the intermediate host in Bancroftian and Brugian filariasis. - Adults live in the lymphatic system of host. - The female worms in humans may give birth to as many as 50,000 microfilaria per day.No multiplication in the mosquito. - the extrinsic incubation period is 10-14 days . Reference : Park's textbook of preventive and social medicine, 23rd edition pg no:271